Serum enzyme used for MI -
1. CPK
2. Alkaline phosphatase
3. Acid phosphatase
4. Lipase

Correct answer: 1. CPK

Explanation: Ans. is 'a' i.e., CPK Organ/dtseaseSerum Enzymes used for assayHeart (Myocardial infarction)o Commonly used: - Creatine phosphokinae (CK or CPK Q), Aspartate transaminase (AST or SCOT Q), LDH Qo Not commonly used : - g-glutamyl transpeptidase, Histaminase. Pseudocho 1 inesteraseMusclesSGOT (AST) Q, SGPT (AJLT) Q, aldolase, CPK QBoneAlkaline phosphatasePancreatitisAmylase, lipaseLiverSGOT (AST), SGPT (ALT), Alkaline phosphatase, g-glutamyl transferase, LDH (isozyme-5).